Sequence of vesicle transport is:
1. ER - Trans - Cis - Lysosomes
2. ER - Cis - Trans - Cell membrane
3. ER- Lysosomes - Trans - Cis
4. Cis - ER - Trans - Cell membrane

Correct answer: 2. ER - Cis - Trans - Cell membrane

Explanation: Ans. (b) ER - Cis - Trans - Cell membrane(Ref: Ganong, 25th ed/p.44)Proteins are synthesized in rough endoplasmic reticulum - enters Golgi through its cis end - processed inside golgi - packed in secretory vesicles - leaves out of golgi through its trans end - ultimately released out of the cell by fusion of vesicles with cell membrane